All are used for local infiltration except -
1. Lidocaine
2. Ropivacaine
3. Dibucaine
4. Bupivacaine

Correct answer: 3. Dibucaine

Explanation: Ans. is 'c' i.e., Dibucaine Use of local anaesthesia to produce regional anaesthesiaAnestheticTopicalLocal infiltrationPeripheral Nerve blockIntravenous regional (Bier's block)SpinalEpiduralEsters o ProcaineNoYesYesNoYesNoo ChlorprocaineNoYesYesYesNoYeso Tetracaine (Amethocaine)YesNoNoNoYesNoo CocaineYesNoNoNoNoNoo BenzocaineYesNoNoNoNoNoAmides o LidocaineYesYesYesYesYesYeso MepivacaineNoYesYesNoNoYeso BupivacaineNoYesYesNoYesYeso RopivacaineNoYesYesNoYesYeso EtidocaineNoYesYesNoNoYeso PrilocaineNoYesYesYesNoNoo DibucaineYesNoNoNoNoNo